Large vessel vasculitis is/are:a)  Takayasu diseaseb)  Temporal arteritisc)  PANd)  Giant cell arteritise)  Wegner granulomatosis
1. acd
2. abd
3. abc
4. ab

Correct answer: 2. abd

Explanation: Large vessel vasculitis are Giant cell arteritis, Takayasu arteritis and Cogan syndrome.